Most common cells of connective tissue are:
1. Fibrobalst
2. Plasma cells
3. Basal cells
4. Histiocytes

Correct answer: 1. Fibrobalst